Following is an example of Type 4 hypersensitivity?
1. Glomerulonephrirtis
2. Serum sickness
3. Myasthenia gravis
4. Contact dermatitis

Correct answer: 4. Contact dermatitis

Explanation: Ans. is 'd' i.e., Contact dermatitis Tvpe IV (Cell mediated! hvpersesivitvo Tuberculin testo Lepromin testo Sarcoidosiso Tuberculosiso Contact dermatitiso Granulomatous inflammationo Type I lepra reactiono Patch testo Temporal arteritiso Jones mote reaction (cutaneous basophilic HSN)o Graft rejectiono Fairleys testo Frie's test